Psammoma body found in -
1. Papillary Ca thyroid
2. Follicular Ca thyroid
3. Medullary Ca thyroid
4. Anaplastic Ca thyroid

Correct answer: 1. Papillary Ca thyroid

Explanation: Ans is 'a' i.e. Papillary Ca Psammoma bodies found in: Ref. Papillary Ca of thyroid 8/e p1122 (7/e p1178) Serous cystadenoma of ovary 8/e 1044 (7/e p1096) Meningioma 8/e p1338 (7/e p1409) Papillary type of Renal cell carcinoma 8/e p966 (7/e p1018) Pitutary adenoma (Prolactinoma) 8/e p1103 (7e p1160) Appendiceal carcinoid (rarely) 7/e p868